Which of the following statement is true about mumps?
1. Salivary glands involvement is limited to parotid
2. The patient is not infectious prior to clinical parotid enlargement
3. Mumps orchitis frequently leads to infertility
4. Meningoencephalitis can precede parotitis

Correct answer: 4. Meningoencephalitis can precede parotitis

Explanation: Mumps may involve parotid, submandibular salivary gland.
Patient is infectious 7 days before to 7 days after onset of parotid swelling.
Mumps orchitis can lead to atrophy of testis, but does not frequently cause infertility.
Meningoencephalitis may occur before, along with or following the parotitis.